Cardiac biomarkers of choice for diagnosis of myocardial infraction 10 days after initial event
1. Troponins
2. CK-MB
3. Myoglobin
4. LDH

Correct answer: 1. Troponins

Explanation: Ref Harrison 19 th ed pg 1594 addition to the clinical examination, three major noninvasive tools are used in the evaluation of NSTEMI-ACS: the electrocardiogram (ECG), cardiac biomarkers, and stress testing. CCTA is an additional emerging option The goals are to: (1) recognize or exclude myocardial infarction (MI) using cardiac biomarkers, preferably cTn;